In blood culture the ratio of blood to reagent is -
1. 1:05
2. 1:20
3. 1:10
4. :100

Correct answer: 3. 1:10

Explanation: Specifics for and panels are as follows: Specimen type - Whole blood Container - Culture bottles (one aerobic and one anaerobic) for blood and green-top tube (heparin) for fungus and mycobacteria (if warranted by clinical suspicion) Collection method - Venipuncture Specimen volume - Adults: 10-20 mL per culture set; Pediatric patients: 1.0-3.0 m The blood is inoculated into the bottle containing blood culture medium in the blood to the broth ratio of 1:10 .but in children where the amount of blood drawn is little a ratio of 1:5 may be achieved REF: MEDSCAPE